Normal saline is used as diluent in which vaccine?
1. Measles
2. Rubella
3. BCG
4. HAV

Correct answer: 3. BCG

Explanation: Ans. is 'c' i.e., BCG BCG vaccine BCG vaccine is a live attenuated vaccine produced by `Bacille Calmette Guerin' an avirulent strain produced by 230 subcultures over a period of 13 years. Types of vaccine It is a live attenuated vaccine. There are two types of vaccine :- Liquid (fresh) vaccine Freeze dried (lyophilized) -more stable, currently in use. Diluent - Normal saline is recommended as a diluent for reconstituting vaccine, as distilled water may cause irritation. The reconstituted vaccine should be used within 3 hours. Route - Intradermal Site - Just above the insertion of deltoid (usually left)